Felon is -
1. Infection of nail fold
2. Infection of ulnar bursa
3. Infection of pulp space
4. Infection of DIP joint

Correct answer: 3. Infection of pulp space

Explanation: Ans. is 'c' i.e., Infection of pulp space o Felon is the infection of distal pulp space.FELON (DISTAL PULP SPACE INFECTION)o Felon is the infection of distal pulp space. Next to acute paronychia, this is the most common hand infection. It usually follows a pinprick, with index finger and thumb being the common unfortunate victim. The patient initially complains of dull pain and swelling. Pain may be excruciating if the pressure of this tight compartment increases significantly.o Complications are osteomyelitis (most common), skin necrosis, osteonecrosis of digits and rarely tenosynovitis or infective arthritis of DIP joint.o Treatment consists of antibiotics in the initial stages and if the pain lasts for more than 12 hours, incision and drainage helps. If osteomyelitis develops, sequestrectomy of distal phalanx is done.